Investigation of choice for detection and characterization of interstitial lung disease is-
1. MRI
2. Chest x-ray
3. High resolution CT
4. Ventilation perfusion scan

Correct answer: 3. High resolution CT

Explanation: Ans. is 'c' i.e.. High resolution CT o High Resolution CT (HRCT) is investigation of choice for interstitial lung disease as it can delineate the lung parenchyma upto the level of secondary pulmonary lobule.